Which one of the following is not a ocular emergencies?
1. Angle closure glaucoma
2. Central retinal arterial occlusion
3. Central serous retinopathy
4. Retinal detachment

Correct answer: 3. Central serous retinopathy

Explanation: Central serous retinopathy is a self limiting condition that undergoes spontaneous resolution in 80-90% of the cases. Visual acuity recovers normal or near normal with in 4-12 weeks. It's not an ocular emergency. Ref: A.K KHURANA (2005), Chapter 11, "Disease of The Retina", In the book, "Opthalmology", 3rd Edition, Newdelhi, Page 263